H.pylori infection is associated with increased risk of
1. Proximal gastric cancer
2. Carcinoma of body and pylorus of stamach
3. Carcinoma of duodenum first part
4. Carcinoma involving gastroesophageal junction

Correct answer: 2. Carcinoma of body and pylorus of stamach

Explanation: Helicobacter seems to be principally associated with carcinoma of the body and distal stomach rather than proximal. The aetiology of proximal cancer remains an enigma. It is not associated with h.pylori but is associated with obesity and socioeconomic status. Bailey and Love 26 th ed: pg 1046